In Burkitts lymphoma, translocation seen is chromosome
1. 12 - 14 translocation
2. 8 - 14 translocation
3. 4 - 8 translocation
4. 12 - 18 translocation

Correct answer: 2. 8 - 14 translocation

Explanation: Answer is B (8 - 14 translocation) Presence oft (8; 14) or one of its variants t (2; 8) or t (8; 22) can be confirmatory - Harrison 16th/ 652. Important translocation to be remembered